Characteristics of an ideal candidate for Copper - T insertion include all of the following except :
1. Has born at least one child
2. Is willing to check IUD tail
3. Has a history of ectopic pregnancy
4. Has normal menstrual periods

Correct answer: 3. Has a history of ectopic pregnancy

Explanation: Ans. is c i.e. Has history of ectopic pregnancy The planned parenthood federation of America has described Ideal IUCD candidate as a woman. Who has no history of pelvic disease. Who has born at least one child Has normal menstrual periods Is willing to check IUCD tail Has access to follow up and t/t of potential problems Is in a monogamous relationship. Also know : Absolute contraindication of lUCD : Please Don't Ever Put Condom Pregnancy - Suspected / confirmed. DUB H/O ectopic pregnancy (Friends here I want you to know that according to Newer criteria a woman with a previous ectopic pregnancy can use IUCD.' PID (untreated acute cervicitis, vaginitis including bacterial vaginosis until infection is controlled) Cancer cervix. Mnemonic - Please Don't ever put condom. Relative contra indication are : Anaemiadeg Menorrhagiadeg Purulent cervical dischargedeg Distortions of the uterine cavity due to congenital malformations, fibroidsdeg Unmotivated persondeg Postpartum endometritis or infective abortion in the past 3 months. Multiple sex partners of woman or her husband. Genital actinomycosis. Extra Edge : Some important points from 'Leon Speroff' on patient selection for IUD. Age and parity are not critical factors in selection, the risk factors for STI's are the most important considerations Contraception of choice in patients with current recent or recurrent PID is Hormonal or Barrier method: Patients with heavy menstrual periods should be cautioned regarding the increase in menstrual bleeding associated with copper IUD. Women who are anticoagulated or have bleeding disorder are obviously not good candidates for copper IUCD, but might benefit from progestin IUCD. - Women who have abnormalities of uterus like bicornuate uterus are not good candidates for IUD insertion.deg - Patients with Wilson disease are not recommended copper containing IUCD as contraceptive - Immunosuppressed individuals should not use IUCD. Patients at risk for endocarditis should be treated with prophylactic antibiotics at the insertion and removal of IUCD. According to Speroff : cervical dysplasias are not contraindication for use of IUCD'sdeg but in patients with cervical stenosis it may be difficult to insert IUCD. No increase in adverse events has been observed with copper containing IUCD in women with either insulin dependent or non insulin dependent diabetes. Intact Cu containing IUCD's can be the ideal choice for a woman with diabetes especially if vascular disease is present.